Barberio's test uses which of the following ?
1. Picric acid
2. Acetic acid
3. Hydrochloric acid
4. Sulfuric acid

Correct answer: 1. Picric acid

Explanation: Ans. is 'a' i.e., Picric acid Barberio's test It is used to diagnose presence of seminal/ spermatic fluid. Procedure : A saturated aqueous or alcoholic solution of picric acid when added to spermatic fluid produces yellow needle - shaped rhombic crystals of spermine picrate. The reaction probably depends on the presence of the prostatic secretion.